Temporal profile of detection of the given serum enzyme in acute myocar 'al infarction is-
1. CPK, SGOT, LDH
2. SGOT, CPK, LDH
3. CPK, LDH, SGOT
4. SGOT, LDH, CPK

Correct answer: 1. CPK, SGOT, LDH